The standard normal distribution is
1. Asymmetrical
2. Has mean = 1.0
3. Has variance = 0.0
4. Mean = median = mode

Correct answer: 4. Mean = median = mode

Explanation: Normal distribution :

Is Bilaterally symmetrical.
Mean = median = mode.